A mother comes with history of antenatal fetal death due to neural tube defect in first child. What is the amount of folic acid you will prescribe during pre-conceptional counseling?
1. 4 micrograms/day
2. 40 micrograms/day
3. 400 micrograms/day
4. 4000 micrograms/day

Correct answer: 4. 4000 micrograms/day

Explanation: Ans: D. 4000 micrograms/day(Ref Williams 24/e p1104; Nelson 20/e p2805, 20/e p2805, 19/e p2001)If a pregnancy is planned in high-risk women (previously affected child with neural tube defects), supplementation should be started with 4 mg (= 4000 microgram) of folic acid daily, beginning 1 month before the time of the planned conception.Recommendations:By U.S. Public Health Service.Folic acid 0.4 mg daily - For all women of childbearing age & ones capable of becoming pregnant.Folic acid 4 mg (= 4000 microgram) daily - For planned pregnancy in high-risk women (previously affected child) - Beginning 1 month before time of planned conception.Areas addressed by the preconception care :Nutritional conditionsVaccinepreventable diseasesGenetic conditionsEnvironmental healthInfeility/ subfeilityFemale genital mutilationToo early, unwanted and rapid successive pregnanciesSexually transmitted infectionsHuman immunodefi ciency virus (HIV)Interpersonal violenceMental healthPsychoactive substance useTobacco use